Drug of choice in intractable hiccups is:
1. Metoclopramide
2. Fluoxetine
3. Selegiline
4. Chlorpromazine

Correct answer: 4. Chlorpromazine

Explanation: CPZ can control intractable hiccup though the mechanism of action is not known. All the other given drugs donot have this action. Ref KD Tripati 8th ed.